NOT true about use of silver sulfadiazine:
1. 1% concentration
2. Burns
3. Safer for pregnant lady and infants
4. Acts against staph aureus

Correct answer: 3. Safer for pregnant lady and infants

Explanation: Ans. (c) Safer for pregnant lady and infantsRef. wound healing and Ulcers of the skin-Diagnosis and Therapy /154* Silver sulfadiazine is prepared as a water soluble cream in a concentration of 1%.* It is composed of silver nitrate and sodium sulfadiazine, both having antibacterial qualities.* SSD is commonly used in the management of burns and cutaneous ulcers.* It is effective against wide range of pathogenic bacteria, including staph aureus. E.Coli, proteus, enterococci and pseudomonas strain.* Contraindications:# In G6PD patients.# They can cause kernicterus, hence it is contraindicated in pregnancy or during the first 2 months of life.